For a 8 year old child with TMJ ankylosis, the treatment of choice is
1. Gap arthroplasty
2. Condylectomy
3. Gap arthroplasty with costochondral grafting
4. Treatment not required

Correct answer: 3. Gap arthroplasty with costochondral grafting